All are not the appropriate treatment for atrophic non-union, except?
1. Internal fixation
2. Application of cast
3. External fixation
4. Stabilization and bone grafting

Correct answer: 4. Stabilization and bone grafting

Explanation: Non-unions: Hypertrophic nonunion Atrophic non-union =Treatment: Fixation alone is not enough Fibrous tissue in the fracture gap as well as the hard, sclerotic bone ends are excised and bone grafts are packed around the fracture. If there is significant 'die-back', this will require more extensive excision and the gap is then dealt with by bone advancement. This patient with atrophic non-union needed both internal fixation and bone grafts to stimulate bone formation and union.